All of the following are seen in clotting factor deficiency EXCEPT:
1. Large hematomas after trauma
2. Prolonged bleeding after surgery
3. Spontaneous purpura
4. Haemahrosis

Correct answer: 3. Spontaneous purpura

Explanation: D/o Secondary platelet plug(Coagulation d/o)- Large hematomas after trauma,Prolonged bleeding after surgery,Haemahrosis